Anthropometry is
1. Measurement of skeletal dimensions on human skeletal remains
2. Measurement of skeletal dimensions on living individuals
3. Measurement of skeletal dimensions on radiographs
4. Measurement of skeletal dimensions on photographs

Correct answer: 2. Measurement of skeletal dimensions on living individuals

Explanation: Anthropometry
Anthropometry is a technique, which involves measuring skeletal dimensions on living individuals. Various landmarks established in the studies of dry skull are measured in living individuals by using soft tissue points overlying these bony landmarks. These measurements can be made on both dry skull as well as living individuals, although in the latter case the thickness of soft tissue will also need to be considered.
Despite this shortcoming the most important advantage is that the study can be longitudinal, wherein the growth of an individual can be followed directly over a period of time with repeated measurement without damaging the subject.
 
Ref: Gurkeerat Singh Textbook of orthodontics 2nd ed  page 8